All are true about hormonal levels in PolyCystic Ovarian Disease except:
1. Increased androstenedione
2. Reduced FSH/ LH ratio
3. Increased oestrone
4. Decreased testosterone level

Correct answer: 4. Decreased testosterone level

Explanation: Ans. D: Decreased testosterone level Hormone levels in PCOD Raised: E2 (oestradiol), LH, androgens, testosterone, epiandrostenedione, fasting insulin, prolactin Decreased: FSH, FSH/ LH ratio, sex hormone binding globulin, osetradiol (E2)/ oestrone (El) ratio